All of the following are positive acute phase reactants except________.
1. Albumin
2. Serum amyloid (SAA)
3. C-reactive protein (CRP)
4. Fibrinogen

Correct answer: 1. Albumin

Explanation: Acute-phase proteins are plasma proteins, mostly synthesized in the liver, whose plasma concentrations may increase several hundred-fold as part of the response to inflammatory stimuli.
Three of the best-known of these proteins are:

C-reactive protein (CRP).
Fibrinogen. 
Serum amyloid A (SAA) protein. 

Acute-phase proteins have beneficial effects during acute inflammation, but prolonged production of these proteins (especially SAA) in states of chronic inflammation can, in some cases, cause secondary amyloidosis.
Chronically elevated plasma concentrations of hepcidin reduce the availability of iron and are responsible for the anemia associated with chronic inflammation.
Albumin is a negative acute-phase protein, which is decreased in plasma concentration during acute phase response.
Reference-Robbins BASIC PATHOLOGY 10th edition pg-87